USHA worker works for _____ population?
1. 800
2. 900
3. 2500
4. 3000

Correct answer: 3. 2500

Explanation: The  NATIONAL URBAN HEALTH  MISSION (NUHM)   would encourage the effective  participation of the  community  in  planning and  management of health care  services.  It  would  promote  a  community  health volunteer - Accredited Social Health Activist (ASHA)  or Link Worker  (LW)  in  urban  poor  settlement  (one  ASHA  for 1000- 2500  urban  poor population  covering  about 200  to 500  households);  ensure  the  participation  by  creation  of community  based  institutions  like  Mahila  Arogya Samiti  (MAS)  (50- 100  households)  and  Rogi  Kalyan Samitis. However, the states will have the flexibility to either engage ASHA or entrust her responsibilities to MAS.  In that case,  the  incentives  accruing  to  ASHA  would  accrue  to MAS  (47).  The  NUHM  would  provide annual  grant  of Rs. 5000/- to MAS every year.
NOTE: ASHA in urban area k/a USHA.